Which one of the following is not a principle followed in the management of missile injures?
1. Excision of all dead muscles
2. Removal of foreign bodies
3. Removal of fragments of bone
4. Leaving the wound open

Correct answer: 3. Removal of fragments of bone

Explanation: Ans. (c) Removal of fragments of bone Missile injury management*Wound excision and leave wound opened* Foreign materials to be removed.* Excise the skin edge around the entry and exit point* Unhealthy dead muscle must be removed.* Bone shattered by high energy transfer may still have attachment to periosteum or muscle. Such fragments must not be discarded as it may result in mal union or non-union.